If the prevalence is very low as compared to the incidence for a disease. It implies:
1. Disease is very fatal and/or easily curable
2. Disease is nonfatal
3. Calculation of prevalence and incidence is wrong
4. Nothing can be said as they are independent

Correct answer: 1. Disease is very fatal and/or easily curable

Explanation: Ans. a. Disease in very fatal and /or easily curable (Ref: Park 23/e p61, 20/e p58)Prevalence (P): Incidence (I) x Duration (D)QIncidence reflects causal factorsQDuration reflects the prognostic factorsQIf the prevalence is very low, then either incidence is low or duration is shortQ.Duration is short if the disease is easily curable or very fatalQ